Major function of dihydrotestosterone?
1. Spermatogenesis
2. Development of male external genitalia
3. Erythropoiesis
4. Development of male internal genitalia

Correct answer: 2. Development of male external genitalia

Explanation: Ans. is 'b' i.e., Development of male external genitalia.